A child climb stairs at:
1. 6 months
2. 12 months
3. 24 months
4. 36 months

Correct answer: 3. 24 months

Explanation: Ans. C i.e. 24 months 24 months toddler developmental milestones Motor Development kick a ball run walk upstairs holding on using two feet per ste Fine Motor/Vision Development unscrew the top of a jar build a tower of 6 using 1 inch cube wooden bricks copy a vertical line turn pages one at a time Speech and Language Development put two words together - like "daddy gone", "mummy home" name 4 or 5 body parts identify 5 pictures in a picture book - for example, your child will be able to point to objects you name use about 50 word PersonaVSocial Development play alone put socks and shoes on give her first name tell you when she wants to toilet to have a major temper tantrum!